Which one of the following condition is not associated with cupping and fraying of metaphyses of long bones in children?
1. Rickets
2. Lead poisoning
3. Metaphyseal dysplasia
4. Hypophosphatasia

Correct answer: 2. Lead poisoning

Explanation: Cupping and fraying of metaphysis of long bones does not occur in lead poisoning. In lead poisoning bone changes become radiologically evident 3 months after chronic lead poisoning. Changes include dense metaphyseal bands exceeding cortical density of same bone, found in growing skeleton. Interference with normal modeling may result in splaying of the metaphysis resulting in Erlenmeyer flask deformity. Ref: Bone and Joint Disorders By Francis A. Burgener, Martti Kormano, Tomi Pudas, 2nd Edition, Pages 316, 332; Radiology Review Manual By Wolfgang Dahnert, 7th Edition, Page 159; Pediatric Endocrine Disorders By Desai, Meena P, Page 73.